Which of the following disease occurs along Blaschko lines?
1. SJS
2. Inverse psoriasis
3. Incontinentia pigmentosa
4. Intertigo

Correct answer: 3. Incontinentia pigmentosa

Explanation: Blaschko lines are lines of skin cell migration during embryogenesis, which are longitudinally oriented on limbs & curved on trunk.
Diseases that occur along Blaschko lines are Incontinentia pigmentosa, Nevus depigmentosus.